True about blood pressure measurement is all/except:
1. Cuff width should be 40% of arm circumference
2. Diastolic blood pressure is indicated by fourth Korotkoff sound
3. Small cuff measures spuriously elevated Diastolic blood pressure
4. Monkenberg sclerosis causes pseudohypertension

Correct answer: 2. Diastolic blood pressure is indicated by fourth Korotkoff sound

Explanation: Answer is B (Diastolic BP is indicated by 4th Kovotkoffs sound) Diastolic blood pressure is indicated by the 5th fbuh Korotkoff sound (not by fourth Korotkoff sound). Diastolic blood pressure is best indicated by fifth Korotkoff sound Korotkoff sounds are produced by turbulent flow in artery 1. Faint, clear, tapping sounds It indicates systolic Bert 2. Murmur / swishing sounds 3. More intense, crisper sounds 4. Distinct abrupt muffled f sounds Indicates diastolic BP in children. 5. No sound Best correlates with diastolic BP in normal adultsdeg.